A 58 year old male presents with hematuria. He s diagnosed of having bladder cancer which extends muscle deep. The best treatment is
1. Intravesical Chemotherapy
2. Neoadjuvant chemotherapy followed by radical cystectomy
3. Radiotherapy
4. Tranurethral resection

Correct answer: 2. Neoadjuvant chemotherapy followed by radical cystectomy

Explanation: Answer- B. Neoadjuvant chemotherapy followed by radical cystectomy